Prostaglandin was discovered from
1. Tear
2. Saliva
3. Seminal fluid
4. Blood

Correct answer: 3. Seminal fluid

Explanation: Prostaglandins were believed to be part of the prostatic secretions, and eventually were discovered to be produced by the seminal vesicles. ... The biochemists Sune K. Bergstrom, Bengt I. Samuelsson and John R. Vane jointly received the 1982 Nobel Prize in Physiology or Medicine for their research on prostaglandins. Ref: guyton and hall textbook of medical physiology 12 edition